A 3 weeks male child born to a Primi mother, is presenting with noisy breathing sound. Child is afebrile, sleeping and feeding well and on clinical examination, he is normal. Management protocol include:
1. Begin IV antibiotics
2. Reassure and give saline nasal drop
3. Give racemic epinephnne
4. Order for a chest X-ray

Correct answer: 2. Reassure and give saline nasal drop

Explanation: b. Reassure and give saline nasal drop(Ref: Nelson's 20/e p 2048-2050)In this case, the baby appears to have no evidence of respiratory distress like tachypnea or retractions. The baby does not have any pneumonia, but only some coryza. So the appropriate management here is Reassure and give saline nasal drops.